Which of the following ovarian tumor is most prone to undergo torsion during pregnancy :
1. Serous cystadenoma
2. Mucinous cystadenoma
3. Dermoid cyst
4. Theca lutein cyst

Correct answer: 3. Dermoid cyst

Explanation: "A benign cystic teratoma is the most common neoplasm to undergo torsion, and it to the M/C benign tumor diagnosed during pregnancy." A benign cystic teratoma is synonymous to dermoid cyst. REF : gynecology book of shaw 17th